Increased ratio of insulin to glucagon causes
1. Hypoglycemia
2. Decreased levels of lipoprotein lipase
3. Decreased amino acid synthesis
4. Enhanced lipolysis in adipose tissue

Correct answer: 1. Hypoglycemia

Explanation: Insulin is hypoglycemic hormone hence incerased ratio of insulin to glucagon causes hypoglycemiaRef: Ganong's review of medical physiology; 24th edition page no 431